Dengue hemorrhagic fever is caused by -
1. Type I dengue virus
2. Reinfection with same serotype of dengue virus
3. Reinfection with different serotype of dengue virus
4. Infection in an immunocompromised host

Correct answer: 3. Reinfection with different serotype of dengue virus

Explanation: Hypersensitivity or enhancement response to sequintial dengue virus infection in person sensitised by prior exposure to other serotupes of the viru REF:\p> ANATHANARAYANAN MICROBIOLOGY NINTH EDITION PAGE.523